Lacunar skull is a radiological feature of
1. Paget's disease
2. Eosinophilic granuloma
3. Fibrous skull
4. Arnold chiari malformation.

Correct answer: 4. Arnold chiari malformation.

Explanation: Lacunar skull - Arnold chiari malformation.
Cotton wool skull - Paget's disease.
Geographic skull - Eosinophilic granuloma.